A 45 yrs old man presents with progressive cervical lymph nodes enlargement, since 3 months; most diagnostic investigation is:
1. X-ray soft tissue
2. FNAC
3. Lymph node biopsy
4. None of the above

Correct answer: 3. Lymph node biopsy

Explanation: In cervical lymph node enlargement, if no mucosal lesion is detected, an excision biopsy of the largest node should be performed. Ref: Harrison's Internal Medicine, 15th Edition, Page 362 and 18th Edition, Page 467.